Fracture mandible occurs most commonly in
1. Body
2. Angle
3. Condylar process
4. Coronoid process

Correct answer: 3. Condylar process

Explanation: Condylar fractures are most common fractures among the fractures of mandible. They are followed by in frequency of fractures of CABS Condylar process Angle Body Symphysis Caused by indirect trauma to the chin Ref: Dhingra 7e pg 207